5 yr old boy was presented to the OPD by his mother with complaints of pain in the perineal region on examination of sample taken with nitric acid from his peri'anal region showed yellow crystal of what is the test done
1. Teichmann's test
2. Barberios test
3. Takayama test
4. Florence

Correct answer: 2. Barberios test

Explanation: Barberio's test : Basis Detection of Spermin Procedure A few drops of Barberio's reagent when added to spermatic fluid produces crystals of sperm in picrate needle shaped rhombic & yellow color ref : narayanareddy